Positive signals for glycogen breakdown include in all the following except
1. Cyclic AMP
2. Blood glucose
3. Epinephrine
4. Ca2+

Correct answer: 2. Blood glucose

Explanation: They convert glycogen into glucose (this process is called glycogenolysis). The glucose is released into the bloodstream, increasing blood sugar. Hypoglycemia.Increased blood glucose level decreases the rate of glycogenolysis and increases glycogenesis.